Schamberg's purpura are seen on ?
1. Face
2. Feet
3. Chest
4. Arms

Correct answer: 2. Feet

Explanation: Ans. is 'b' i.e., Feet Schamberg's purpura Most common from of pigmented purpura dermatosis (PPD). Puncate purpura macules develop on lower extrimities, particularly around ankles & pretibial region. Mostly asymptomatic